Neostigmine antagonizes non-depolarizing blockade by all of the following mechanisms except.
1. Decreasing the breakdown of acetylcholine at the motor end plate
2. Preventing the K+ efflux from the cell
3. Increasing the release of acetylcholine at the motor end plate
4. Depolarization at the motor end plate

Correct answer: 2. Preventing the K+ efflux from the cell

Explanation: Ans. (B) Preventing the K+ efflux from the cell(Ref: Katzung 10th/e p436; KDT 8th/e p375)Neostigmine is an anti-cholinesterase. It inhibits the breakdown of ACh at the motor end plate. This results in the increased activity of ACh that causes depolarization of motor end plate by opening Na+ channels (increasing the influx of Na+). It possesses some direct agonistic activity on NM receptors resulting in depolarization. In addition, a minor effect to increase the release of ACh at motor end plate is also present.